Microscopic feature of seminoma include all of the following except ?
1. Gland formation
2. Lymphocytic infiltration
3. Monomorphic cells
4. Destruction of seminiferous tubules

Correct answer: 1. Gland formation

Explanation: Ans. is 'a' i.e., Gland formationMicroscopic features of Seminomao Sheets of uniform (monomorphic) cells , i.e., seminoma cells ,Sheets are divided into poorly demarcated lobules by delicate septa of fibrous tissue.Septa is infiltrated with T- lymphocytes.Some times prominent granulomaSeminoma cell has following featureso Large and round to polyhedral. o Large central nucleus with one or two prominent nuclei.o Distinct cell membrane o Cytoplasm contains glycogen.o Clear or watery appearing cytoplasm. o Placental alkaline phosphatase and keratin positive.